The fusion of a myeloma cell with an antigen sensitized B cell lymphocyte is termed?
1. Dendritic cell
2. Opsonization
3. Natural killer cell
4. Hybridoma

Correct answer: 4. Hybridoma

Explanation: The usefulness of hybridomas arises from their ability to produce abundant monoclonal antibody to specific antigens. Natural killer and null cells are types of lymphoid cells. Dendritic cells may possess weak phagocytic activity and may be helpful in antigen presentation. Opsonization is the coating of antigens, usually bacterial, with complement fragments to enhance phagocytosis. Ref: Murray R.K., Jacob M., Varghese J. (2011). Chapter 50. Plasma Proteins & Immunoglobulins. In D.A. Bender, K.M. Botham, P.A. Weil, P.J. Kennelly, R.K. Murray, V.W. Rodwell (Eds), Harper's Illustrated Biochemistry, 29e.